Vitamin K is involved in the post-translational modiffication of?
1. Glutamate
2. Aspartate
3. Glycine
4. GABA

Correct answer: 1. Glutamate

Explanation: Vit K is involved in the gamma carboxylation of glutamate . From essential of medical pharmacology K D Tripati 7th edition Page no 613